Which of the following is true About Late onset schizophrenia?
1. Onset after 45 yrs of age
2. Age of Onset 20-30 years
3. Bad prognosis
4. Olfactory hallucinations

Correct answer: 1. Onset after 45 yrs of age

Explanation: Ans. A. Onset after 45 yearsLate Onset Schizophrenic Disorder is schizophrenia onset after age of 45.SR.no.Good prognostic factorsBad prognostic factors1.Acute onsetInsidious onset2.Late onset (> 35 years)Onset (< 20 years)3.Presence of precipitating factorAbsence of precipitating factor4.Positive symptomsNegative symptoms5.Short duration (6 months)Chronic course (> 2 years)6.Presence of depressionAbsence of depression7.Catatonic subtypeDisorganized, simple, undifferentiated, or chronic catatonic subtypes8.Good premorbid adjustmentPoor premorbid adjustment9.No Family history of schizophreniaFamily history present10.Fat physiqueThin built11.First episodePast history present12.Married (good social support)Unmarried13.Outpatient treatmentLong term hospitalization14.Proper treatment and compliancePoor treatment and compliance15.Presence of confusion, perplexity, or disorientationFlat or blunt affect16.FemaleMale17.Normal CT brainVentricular enlargement on CT brain